In a 21 year old female patient with the complain of forwardly placed upper front teeth, extraoral examination reveals a convex profile, acute nasolabial angle, increased lower facial height and an average mandibular plane angle.
The diagnostic examination carried out in this patient can also be termed as:
1. Farkas’ analysis
2. Facial index
3. Poor man’s cephalometric analysis
4. Martin and Saller index

Correct answer: 3. Poor man’s cephalometric analysis

Explanation: Profile Analysis
A careful examination of the facial profile yields the same information, though in less detail for the underlying skeletal relationships, as that obtained from analysis of lateral cephalometric radiographs. For diagnostic purposes, particularly to identify patients with severe disproportions, careful clinical evaluation is adequate. For this reason, the technique of facial profile analysis has sometimes been called the "poor man's cephalometric analysis." This is a vital diagnostic technique for all dentists.
Contemporary orthodontics, William Proffit, 4th edition page 179